Indicators of bone formation include all of the following except -
1. Osteocalcin
2. Alkaline phosphatase
3. Hydroxyproline
4. Type 1 procollegen

Correct answer: 3. Hydroxyproline

Explanation: Markers of bone formation 

Bone-specific alkaline phosphatase
Osteocalcin
Serum peptide of type I procollagen / Type I collagen extension peptide